Transpyloric plane separates ?
1. Hypogastrium from lumbar region
2. Hypochondrium from lumbar region
3. Iliac fossa from lumbar region
4. Umbilical region from lumbar region

Correct answer: 2. Hypochondrium from lumbar region

Explanation: Ans. is 'b' i.e., Hypochondrium from lumbar region